SGLT 2 is found in
1. Liver
2. Intestine
3. Spleen
4. None of the above

Correct answer: 4. None of the above

Explanation: It is present in kidney SGLT1 is present in intestine They actively absorbe glucose